NOT true regarding Azygos and Hemiazygos Veins are
1. Right 2nd, 3rd, 4th posterior Intercostal veins form Right Superior intercostal vein that drains into Azygos vein
2. Right 1st posterior Intercostal Vein drain directly to Right Brachioceplalic Vein
3. Left 2nd, 3rd, 4th posterior Intercostal veins form Left Superior intercostal vein that drains into Accessory Hemiazygos vein
4. Left 1st posterior Intercostal Vein drain directly to Left Brachioceplalic Vein

Correct answer: 3. Left 2nd, 3rd, 4th posterior Intercostal veins form Left Superior intercostal vein that drains into Accessory Hemiazygos vein

Explanation: Left 2nd, 3rd, 4th posterior Intercostal veins form Left Superior intercostal vein that drains into left Brachioaphalic vein.